Epithelium of comea is
1. Pseudostratified
2. Transitional
3. Statified squamous keratinized
4. Statified squamous non keratinized

Correct answer: 4. Statified squamous non keratinized

Explanation: INDERBIR SINGH'S TEXTBOOK OF HUMAN HISTOLOGY-PAGE NO:391 Corneal epithelium: the outermost layer is of non keratinized stratified squamous epithelium. the cells in the deepest layer of the epithelium is columnar.in the middle layers they are polygonal and in the superficial layers they are flattened